Ascaris is a:
1. Nematode
2. Cestode
3. Protozoa
4. Trematode

Correct answer: 1. Nematode

Explanation: Nematode